Which of the following wave form is seen in metabolic encephalopathy
1. Alpha
2. Beta
3. Gamma
4. Delta

Correct answer: 4. Delta

Explanation: Most importantly, EEG can differentiate between a true acute encephalopathy and epileptic states or psychiatric conditions. Although EEG is very sensitive in detecting an acute encephalopathy, it is not usually etiologically specific. The usefulness of EEG in chronic encephalopathy is less clear. Delta waves, like all brain waves, can be detected by electroencephalography (EEG). Delta waves were originally defined as having a frequency between 1-4 Hz, although more recent classifications put the boundaries at between 0.5 and 2 Hz. Delta waves are often associated with another EEG phenomenon, the K-complex. Ref Harrison20th edition pg 2445